Bullous impetigo is caused by:
1. Staphylococcus aureus
2. Pseudomonas
3. Haemophilus influenzae
4. Clostridium perfringenes

Correct answer: 1. Staphylococcus aureus

Explanation: Ans. A i.e. Staphylococcus aureus Conditions caused by Staphylococcal aureus SSSS (Staphylococcal scalded skin syndrome), Bullous impetigo/Impetigo contagiosa, Furuncles/ Boils, Sycosis barbae and Sycosis nuchae